Bernoulli's theorm explains
1. Nasal polyps
2. Sinusitis
3. Cavernous sinus thrombosis
4. All of the above

Correct answer: 1. Nasal polyps